Splenectomy is most useful in :
1. Thrombocytopenia
2. Hereditary spherocytosis
3. H.S. purpura
4. Sickle cell anemia

Correct answer: 2. Hereditary spherocytosis

Explanation: Answer is B (Hereditary spherocytosis) Splenectomy is curative in hereditary spherocytosis. Splenectomy is carried out in all symptomatic patients Q because of the potential for gall stones and stones and episodes of bone marrow hyperplasia or hemolytic crisis Q It reliably corrects the anemia and RBC survival often becomes normal or nearly so. The operative risk is low. Remember Splenectomy is not carried out in young children e (preferably postponed until age 4) in order to minimize the risk of severe infections Q with gram positive encapsulated organisms.